Which of the following is true about psoriatic arthritis
1. Involves distal joints of hand and foot
2. Pencil in cup deformity
3. Sacroiliitis
4. All of the above

Correct answer: 4. All of the above

Explanation: Reference Robbins page no Pg 8th 1241